A 9-year-old boy presents with growth retardation and propensity to hypoglycemia. Physical examination reveals short stature, micropenis, increased fat and high–pitched voice. The skeletal survey reveals a bone age of 5 years. Which of the following is most appropriate diagnosis –
1. Malabsorption
2. Growth hormone deficiency
3. Adrenal tumour
4. Thyroxin deficiency

Correct answer: 2. Growth hormone deficiency

Explanation: It is a classic case of Growth hormone deficiency.
clinical features of Growth hormone deficiency

Short children with normal body proportions
Markedly increased subcutaneous fat
Delayed skeletal age than chronological age
The height age is less than skeletal age and chronological age.
Hypoplastic penis and scrotum
May present with severe hypoglycemic convulsions.
Crowding of midfacial features
Genitals are small (sexual infantilism)
Truncal obesity.
High pitched voice
Depressed nasal bridge
Prominent philtrum
Frontal Bossing
Delayed sexual maturation
Delayed tooth eruption